Which of the following causes of orofacial pain is not associated with vascular origin:
1. Cluster headache
2. Giant cell Arteritis
3. Anesthesia dolorosa
4. Chronic paroxysmal hemicraria

Correct answer: 3. Anesthesia dolorosa